All of the following proteins are involved in the metabolism of iron, EXCEPT
1. Transthyretin
2. Ceruloplasmin
3. Ferritin
4. Hepcidin

Correct answer: 1. Transthyretin

Explanation: Transthyretin (formerly known as prealbumin) binds to T4 and forms a complex with retinol-binding protein. It is not involved in iron metabolism. Don't confuse it with Transferrin Ceruloplasmin is a copper containing ferroxidase oxidises any ferrous iron to ferric iron and Aceruloplasminemia leads to hemochromatosis Hepcidin is the main regulator of systemic iron homeostasis Ferritin-is an iron containing protein